A 25 year old male was hospitalized with liver cyst due to Echinococcus granulosus. He refused to undergo surgery for removal of cyst. Therefore, albendazole was used at high dose for 3 months. This patient should be monitored for the toxicity to:
1. Gonads
2. Kidney
3. Liver
4. Peripheral nerves

Correct answer: 3. Liver

Explanation: When used for 1-3 days, albendazole is nearly free of significant adverse effects. Mild and transient epigastric distress, diarrhea, headache, nausea, dizziness, lassitude, and insomnia can occur. In long-term use for hydatid disease, albendazole is well tolerated, but it can cause abdominal distress, headaches, fever, fatigue, alopecia, increases in liver enzymes, and pancytopenia. Hence blood counts and liver function should be monitored during long-term therapy.